Which of the following is painless condition:
1. Anterior diffuse uveities
2. Anterior nodular uveities
3. Posterior uveitis
4. Iridocyclitis

Correct answer: 3. Posterior uveitis

Explanation: Ans. C: Posterior uveitis With anterior uveitis, patients feel mild to strong pain and will have redness and light sensitivity. He may have blurred vision. Depending on the clinical presentation, it can be categorized as iritis, cyclitis or iridocyclitis Both intermediate and posterior uveitis are usually painless. Symptoms are blurred vision and floaters, typically in both eyes. Most people who develop intermediate uveitis are in their teens, 20s or 30s. Diffuse uveitis has a combination of symptoms of all types of uveitis.